Idiopathic thrombocytopenic purpura is due to which type of hypersensitivity?
1. Type I Hypersensitivity
2. Type II Hypersensitivity
3. Type III Hypersensitivity
4. Type IV Hypersensitivity

Correct answer: 2. Type II Hypersensitivity

Explanation: Involve activation of complement by IgG or IgM binding to an antigenic cell.
Antigenic cell is lysed.